Position of vocal cord in cadaver is:
1. Median
2. Paramedian
3. Intermediate
4. Full Abduction

Correct answer: 3. Intermediate

Explanation: The vocal fold of the excised larynx is known to be located at an intermediate position(the so-called cadaver position).